A person is not able to count fingers from a distance of 6 meters. He shall be categorized into which type of blindness?
1. Manifest
2. Social
3. Economical
4. No blindness

Correct answer: 3. Economical

Explanation: when a person is not able to count fingers from 6 meters or 20 feet, it is termed as economical blindness. It hinders person from earning his wages. Types of blindness Economic blindness: Inability of a person to count fingers from a distance of 6 meters or 20 feet technical Definition Social blindness: Vision 3/60 or diminution of field of vision to 10deg Manifest blindness: Vision 1/60 to just perception of light Absolute blindness: No perception of light Curable blindness: That stage of blindness where the damage is reversible by prompt management e.g. cataract Preventable blindness: The loss of blindness that could have been completely prevented by institution of effective preventive or prophylactic measures e.g. xerophthalmia, trachoma and glaucoma Avoidable blindness:The sum total of preventable or curable blindness is often referred to as avoidable blindness.